Example for "AMPLIFIER HOST" -
1. Pig in JE
2. Dog in hydatid disease
3. Cattle in mad cow disease
4. Rat in plague

Correct answer: 1. Pig in JE